Bacteria causing acute hemorrhagic conjunctivitis is
1. Staphylococcus aureus
2. Streptococcus hemolyticus
3. Pneumococcus
4. Pseudomonas

Correct answer: 3. Pneumococcus

Explanation: Pneumococcus is the only bacteria causing acute hemorrhagic conjunctivitis.